Strain used for production of Measles vaccine is:
1. Jeryl Lynn strain
2. 17 - D strain
3. Ankara strain
4. Edmonston Zagreb strain

Correct answer: 4. Edmonston Zagreb strain

Explanation: Strains Used For Measles Vaccine Edmonston Zagreb Strain (Most common) Schwarz strain Moraten strain Vaccine Strains Dengue/Dengavaxia : CYD-TDV BCG : Danish 1331 Mumps : Jeryl Lynn Rubella : RA 27/3 YF : 17D Varicella : Oka JE : SA 14-14-2 H1N1 : A/California/2009 Mosquirix : S,S/AS01 (World's first & only licensed malaria vaccine. It is prepared from circumsporozoite protein of plasmodium falciparum using hepatitis B surface antigen) HIV : mvA (Modified vaccinia ankara) Typhoral : Ty21a Anthrax : Sterne